All of the following glucocorticoids lack mineralocorticoid activity,except
1. Beclomethasone
2. Triamcinolone
3. Prednisolone
4. Dexamethasone

Correct answer: 3. Prednisolone

Explanation: Prednisolone has glucocorticoid activity. But at high doses fluid retention does occur. Prednisolone is a corticosteroid drug with predominant glucocorticoid and low mineralocorticoid activity, making it useful for the treatment of a wide range of inflammatory and autoimmuneconditions such as asthma, uveitis, pyoderma gangrenosum, rheumatoid arthritis, urticaria, angioedema,ulcerative colitis, pericarditis, temporal arteritis and Crohn's disease, Bell's palsy, multiple sclerosis, cluster headaches, vasculitis, acute lymphoblastic leukemiaand autoimmune hepatitis, systemic lupus erythematosus, Kawasaki disease,dermatomyositis, and sarcoidosis. (REF.Essential of medical pharmacology K D TRIPATHI 6 Edition, Page No - 281)